Irreversible cell injury
1. Mitochondrial densities
2. Cellular swelling
3. Blebs
4. None

Correct answer: 1. Mitochondrial densities

Explanation: In irreversible cell injury, there are deposits of amorphous calcium salts in the mitochondrial matrix.(REF: Textbook of Pathology HARSH MOHAN 6th Edition page no.30)